All the following drugs do not produce hirsutism except
1. Cycloserin
2. Phenobarbitone
3. Phenytoin
4. Mycophenolate

Correct answer: 3. Phenytoin

Explanation: Phenytoin adverse effects: Hirsutism, Gum hyperplasia, Hepatotoxicity etc Drugs causing hirsutism are ; Androgens,OCPs,phenytoin,minoxidil,diazoxide,cyclosporin. Ref: HL Sharma 3rd ed.Pg 530